Drug given in OPC poisoning is
1. Hyoscine
2. Atropine
3. Propanthelene
4. Physostigmine

Correct answer: 2. Atropine

Explanation: Ans. is 'b' i.e., Atropine * Atropine is considered to be a first line drug for treatment of OPC poisoning.* It is highly effective in counteracting the muscarinic symptoms and higher doses counteract the central effects.* 2 mg i.v. repeated every 10 minutes till dryness of mouth or other signs of atropinization appear.* It does not reverse peripheral muscular paralysis which is the nicotinic effect.